A 65-year-old chronic smoker presents with a rapidly enlarging large hilar mass on a chest film associated with significant adenopathy. He also experiences recurrent hypoglycemic spells these days. A provisional diagnosis of Lung carcinoma being considered which of the following subtype will most commonly lead to this spectrum?
1. Squamous cell carcinoma
2. Adenocarcinoma
3. Large cell carcinoma
4. Small cell tumour

Correct answer: 4. Small cell tumour

Explanation: Small cell - Mediastinal adenopathy, - Hilar mass, - Small or invisibleftlung nodule, - High metastatic potential, - Rapid growth. - May be associated with Hypoglycemia, Cushing's syndrome, Inappropriate secretion of ADH, excessive gonadotropin secretion.